A specimen of the ovarian mass is showing a lesion which contains hair, dermal appendages, bone and teeth. Which of the following statement is not true?
1. It is Rokitansky protuberance
2. It is a common site for malignant transformation
3. It is seen in embryonal carcinoma
4. Squamous cell carcinoma is the most common type of malginant transformation

Correct answer: 3. It is seen in embryonal carcinoma

Explanation: Rokitansky protuberance is a hallmark finding in gross specimen of Benign cystic teratoma. (Mature Teratoma)